All of the following are drugs for ATT except ?
1. Kanamycin
2. Cycloserine
3. 5-flucytosine
4. Ofloxacin

Correct answer: 3. 5-flucytosine

Explanation: Ans. is 'c' i.e., 5-flucytosine Antitubercular drugs o First line --> Isoniazid, rifampin, ethambutol, streptomycin, pyrazinamide. o Second line --> Thiacetazone, PAS, ethionamide, cycloserine, kanamycin, amikacin, capreomycin, ciprofloxacin, ofloxacin, clarithromycin, Azithromycin, rifabutin.